Black gun powder composition -
1. Carcoal 60% + Potassium nitrate 20% + sulphur 20%
2. Charcoal 25% + Potassium nitrate 70% + sulphur 05%
3. Charcoal 15% + Potassium nitrate 75% + sulphur 10%
4. Charcoal 65% + Potassium nitrate 20% + sulphur 15%

Correct answer: 3. Charcoal 15% + Potassium nitrate 75% + sulphur 10%

Explanation: The synopsis of forensic medicine & toxicology ; Dr k.s narayan reddy ; 28th edition ; Pg.no. 125 Fine grains travel 60cm or more ,one gram of powder produces 3,000-4,500c.c of gas